Pertusis toxin acts by all of the following mechanisms except ?
1. ADP ribosylation of proteins associated with receptors
2. Increase cyclic AMP
3. Increased calcium release from sarcoplasmic reticulum
4. Acts through G alpha subunit

Correct answer: 3. Increased calcium release from sarcoplasmic reticulum